All are features in favour of seizure over syncope except
1. No precipitating factors
2. Became immediately unconsciousness
3. Tonicor clonic seizures lasting more than 60 seconds
4. Nausea, tunneling of vision

Correct answer: 4. Nausea, tunneling of vision

Explanation: Features That Distinguish Generalized Tonic-Clonic Seizure from SyncopeFeaturesSeizureSyncopeImmediate precipitating factorsUsually none Emotional stress, Valsalva, orthostatic hypotension, cardiacetiologiesPremonitory symptoms None or aura (e.g., odd odor)Tiredness, nausea, diaphoresis, tunnelling of visionPosture at onset VariableUsually erectTransition to unconsciousnessOften immediateGradual over secondsDuration of unconsciousnessMinutes SecondsDuration of tonic or clonic movements30-60 sNever more than 15 sFacial appearance during eventCyanosis, frothing at mouthPalorDisorientation and sleepiness after eventMany minutes to hours< 5minAching of muscles after eventOftenSometimesBiting of tongueSometimesRarelyIncontinenceSometimesSometimesHeadacheSometimesRarelyRef: Harrison 19e 2547